Regarding lamotrigine, which of the following is a TRUE statement?
1. It is a dopaminergic agonist used in Parkinsonism
2. It acts by blocking NMDA type of glutamate receptors
3. It is a broad spectrum antiepileptic drug
4. It suppresses tonic-clonic seizures but worsens absence seizures

Correct answer: 3. It is a broad spectrum antiepileptic drug

Explanation: Lamotrigine is a broad spectrum anti-epileptic drug used in wide variety of seizures including GTCS as well as absence seizures. It acts by blocking Na channels and also increasing the GABAergic activity and decreasing glutamatergic activity.